"Incest' term used in sexual relationship with
1. A girl age less than 16 years
2. Divorced wife
3. Blood relationship
4. Sex with hijra

Correct answer: 3. Blood relationship

Explanation: C. i.e. (Blood relationship) (5.46 Parikh 6th)INCEST - This is the act of sexual intercourse by a man with woman within a certain degree of blood relationship* In India incest per se is not a cognizable offence and police cannot take any notice of it unless the offence can be brought into any of the penalizing sections such as 376 and 497 IPC* Common example is the father and daughter, brother and sister* Medical examination is concerned with demonstrating evidence of habitual intercourse rather than of fresh defloration.Bestiality (bestio - sexuality) means sexual intercourse by a human being with a lower animal** either through the anus or the vagina (Punishible under the section 377. IPC)**Fetichism - is a perversion in which sexual gratification is associated with contact and sight of certain parts of the female body or even clothing or other articles known as fetish objects** (Corned - 08)Transvestism is a perversion in which the personality is dominated by the desire to be identified with opposite sex. The fantasy indulged in is clearly "being a women" if a male and 'being a man' if a female. It is also known as EONISM**Irresistible sexual desire in males is known as Satyriasis**